Which of the following are example affixed active appliances
1. Begg and straight wire
2. Begg and herbst
3. Activator and herbst
4. Activator and frankel

Correct answer: 1. Begg and straight wire